The growth of porphyromonas gingivalis is enhanced by a metabolic byproduct succinate produced by
1. Streptococcus
2. Capnocytophaga
3. Actinomyces
4. Veillonella

Correct answer: 2. Capnocytophaga